Child (girl) is suffering from varicella (fever rash). And child's aunt is pregnant. When is it earliest that the child can meet her aunt -
1. When the lesions have crusted
2. Immediately
3. Anytime as the child is aunt's favourite
4. After the delivery of the baby

Correct answer: 1. When the lesions have crusted

Explanation: Ans. is 'a' i.e., When the lesions have crusted o Varicella Zoster (chicken pox) is a highly contagious disease, a centripetal, pleomorphic rash appearing on the first day of the illness and a relatively short course of illness. o The crusts from chicken pox lesions donot contain viable virus and are therefore not infective. Period of infectivity range from a day prior to the illness and up to 5 days after the onset. Children with chicken pox are removed from school or day care centres for 6 days after appearance of the rash.